Oxidation of odd-chain fatty acids result in the production of which of the following?
1. Acetyl CoA
2. Succinyl CoA
3. Propionyl CoA
4. Malonyl CoA

Correct answer: 3. Propionyl CoA

Explanation: Odd chain fatty acids are also oxidised exactly as even chain fatty acids. However, after successive removal of 2-carbon units, at the end, one 3 carbon unit, propionyl CoA is produced. The propionyl CoA is further metabolised to Succinyl CoA which enters the TCA cycle. Ref: Vasudevan Biochemistry, 3rd Edition, Page 124